A 34 weeks pregnant female presented with intense itching over vulvar area and a white, cheesy vaginal discharge. On examination, vulvar erythema is noted. Which among the following is the causative organism in this patient?
1. Epidermophyton
2. Aspergillus
3. Candida albicans
4. Tinea

Correct answer: 3. Candida albicans

Explanation: Candida albicans, the most common Candida species, causes symptomatic vulvovaginitis in approximately 90% of the cases. Clinical infection is associated with a systemic disorder (diabetes mellitus, HIV, obesity), pregnancy, medication (antibiotics, corticosteroids, oral contraceptives), and chronic debilitation. Vulvovaginal candidiasis presents with intense vulvar pruritus; a white, cheesy vaginal discharge; and vulvar erythema. A burning sensation may follow urination, particularly if there is excoriation of the skin from scratching. The current medical treatment of candidal infection is by imidazoles. Ref: Bornstein J. (2013). Chapter 39. Benign Disorders of the Vulva & Vagina. In A.H. DeCherney, L. Nathan, N. Laufer, A.S. Roman (Eds), CURRENT Diagnosis & Treatment: Obstetrics & Gynecology, 11e.